A farmer from central Asia presents with an acute onset of swinging pyrexia, rigor, sweating and monoarticular arthritis of the hip. He also complained of headache and insomnia. On examination he is found to have a small, firm splenom egaly and hepatomegaly. His counts showed leucopenia with relative lypmhocytosis.The most likely diagnosis is-
1. Brucellosis
2. Bagassosis
3. Byssinosis
4. Chikungunya fever

Correct answer: 1. Brucellosis